What is the end product of anaerobic glycolysis?
1. 2ATP + 2NAD
2. 2ATP + 2NADH
3. 2ATP + 2FADH2
4. 4ATP + 2 NAD

Correct answer: 1. 2ATP + 2NAD

Explanation: 2ATP and 2 NAD are the end product of anaerobic glycolysis.
4 ATPs are produced in total, but 2 ATPs are used by hexokinase, PFK-1 (one each)